Anti-craving agents for alcohol dependence are all except
1. Lorazepam
2. Acamprosate
3. Topiramate
4. Naltrexone

Correct answer: 1. Lorazepam

Explanation: Essentials of medical pharmacology; k.d tripathi ;7th edition; pg.no.424 ,466 Lorazepam is used in status epilepticus, it is also used to treat depression . It is not used as a anti craving agent for alcohol dependence . Ref: KD Tripathi 8th ed.